Amphotericin B acts on:-
1. Cell membrane
2. Cell wall
3. Nucleus
4. Cytoplasm

Correct answer: 1. Cell membrane

Explanation: Various drugs used in fungal infections with their mechanism of action are: Class of drugs Drugs bf action Polyenes * Amphotericin-B * Nystatin Bind to ergosterol and create pores in cell membrane. 5-flucytosine(5-FC) DNA polymerase inhibitor Azoles * Ketoconazole * Fluconazole * Itraconazole * Clotrimazole * Voriconazole Inhibits the enzyme lanosterol-14-a-demethylase resulting in reduced ergosterol synthesis. Allylamines * Terbinafine * Butenafine * Naftifine Inhibits squalene epoxidase-pores in cell membrane and accumulation of squalene(major factor) Griseofulvin Microtubule inhibition Echinocandins * Caspofungin Inhibit 1,3 beta glucan synthase enzyme resulting in inhibition of cell wall synthesis